Disease of Sweat glands-
1. Fordyce's spot
2. Acne vulgaris
3. Fox-Fordyce's disease
4. None

Correct answer: 3. Fox-Fordyce's disease

Explanation: Fox Fordyce disease or Apocrine miliaria is seen in young adult women as pruritic papules in the apocrine areas Reference Harrison20th edition pg 1209